All of the following statements except one are true of medications in the same class as diclofenac:
1. can be associated with corneal complications, including corneal melt and perforation
2. can be used for treatment of postoperative ocular inflammation
3. result in the increased production of thromboxane
4. result in decreased synthesis of prostaglandins

Correct answer: 3. result in the increased production of thromboxane

Explanation: Diclofenac is a topical ocular NSAID. Other medications in this class include flurbiprofen, ketorolac, nepafenac, and bromfenac. Topical NSAIDs are indicated for the treatment of postoperative inflammation. These medications have been associated with corneal complications, including corneal melt and perforation. The mechanism of action of NSAIDs is by blocking the cyclooxygenase pathway, which eliminates the production of prostaglandins, prostacyclin, and thromboxane.